A most Common type of VSD –
1. Membranous
2. Muscular
3. Multiple
4. None

Correct answer: 1. Membranous

Explanation: Ventricular septal defect (VSD)

VSD is the most common congenital cardiac lesion.
VSD is a communication between two ventricles.
VSD may be located at : -


Membranous part of ventricular septum (most common → 90%)
Muscular septum
Maybe multiple